The best indicator of acute malnutrition is
1. Weight for height
2. Weight for age
3. Height for age
4. BMI <2SD

Correct answer: 1. Weight for height

Explanation: Severe acute malnutrition is defined by a very low weight for height (below-3z scores of the median WHO growth standards), by visible severe wasting, or by the presence of nutritional edema.(Refer: Nelson's Textbook of Pediatrics, SAE, 1st edition, pg no. 301)